Pulse proteins are deficient in?
1. Methionine
2. Lysine
3. Threonine
4. All

Correct answer: 1. Methionine

Explanation: Ans. is 'a' i.e., Methionine Supplementary action of proteinso Cereals are deficient in essential amino acid Lysine & threonine,o Pulses are deficient in essential amino acid Methionine.o So if cereals are eaten with pulses, their proteins complement each other & provide a more balanced and complete protein intake.FoodDeficiencyCerealsWheatMaizePulsesSoyabeanLysine & threonineLysine & threonineTryptophan & lysineMethionine & cysteineMethionine